Sutcular fluid does not perform one of the following
functions:
1. Contains plasma proteins which may improve adhesion
2. Possesses antimicrobial properties
3. Exerts antibody activity
4. Provides nutrition to junctional epithelium via diffusion

Correct answer: 4. Provides nutrition to junctional epithelium via diffusion